Most common cancer in children less than 10 years:
1. Leukemia
2. Neuroblastoma
3. Brain tumor
4. Wilm's tumor

Correct answer: 1. Leukemia

Explanation: a. Leukemia(Ref: Nelson's 20/e p 2437, Ghai 8/e 599-607)Most frequent childhood cancers are: (in order of decreasing frequency) Leukemia (Most common is ALL)Q > Neuroblastoma > Wilms' tumor > Hepatoblastoma > Retinoblastoma